Most common organism implicated in the etiology of urinary tract infection in the community is ?
1. E. coli
2. Proteus
3. Pseudomonas
4. Streptococci

Correct answer: 1. E. coli